Total T3 T4 and TSH all decrease in
1. Primary hypothyroidism
2. Hypopituitarism
3. Nephrotic syndrome
4. Pregnancy

Correct answer: 2. Hypopituitarism

Explanation: (B) Hypopituitarism